First response to decreased blood volume
1. Increased heart rate
2. Tachypnea
3. Hypotension
4. Disorientation

Correct answer: 1. Increased heart rate

Explanation: Baroreceptor reflex is an immediate compensatory mechanism in shock. There is stimulation of arterial baroreceptors and so sympathetic output is increased leading to vasoconstriction and reflex tachycardia. Ref: Textbook of medical physiology by N Geetha, 2nd edition, page no. 184